Sever's disease involves which of the following bone ?
1. lunate
2. Tibial tubercle
3. calcaneum
4. Navicular

Correct answer: 3. calcaneum

Explanation: type of osteochondritis bone affected Kienbock Lunate osgood shalter tibial tuberosity Sever's Calcaneum Kohler Navicular ref : maheswari 9th ed